Cords of Billroth in spleen are found in
1. Mantle zone
2. Trabecular zone
3. Red pulp
4. White pulp

Correct answer: 3. Red pulp

Explanation: 75% of spleen is red pulp, predominantly having RBCs. 25% of spleen is white pulp, predominantly having WBCs Red pulp contains sinusoids which are filled with RBCs & blood and splenic cords of billroth White pulp contains lymphoid follicles &periaerial lymphatic sheath.